FALSE about subclavian artery:
1. On left side arises from arch of aorta
2. On right side arises from brachiocephalic trunk
3. Vertebral artery arises from 2nd part
4. Divided by scalenus anterior muscle into three parts

Correct answer: 3. Vertebral artery arises from 2nd part

Explanation: Vertebral artery arises from 1st part of subclavian artery. On the left side subclavian artery comes directly off the aortic arch, while on the right side it arises from the brachiocephalic trunk. Scalenus anterior muscle divides subclavain artery into three parts. Branches: 1st Part: Vertebral artery Internal thoracic artery Thyrocervical trunk 2nd Part: Costocervical artery 3rd Part: Dorsal scapular artey